“Church spire effect” is shown by
1. Verruca vulgaris
2. Pamphigus vulgaris
3. Pamphigus vegetans
4. Verrucous papillary outgrowth

Correct answer: 1. Verruca vulgaris